Methylation Vitamin H is also known as ?
1. Cobalamin
2. Biotin
3. Pyridoxine
4. Folate

Correct answer: 2. Biotin

Explanation: Ans. is 'b' i.e., Biotin Biotin is also known as vitamin B7 or vitamin H.